The term metaplasia refers to
1. Irregular, atypical proliferative changes in epithelial or mesenchymal cells
2. Loss of cell substance producing shrinkage of the cells
3. Replacement of one type of adult cell by another type of adult cell
4. None of the above

Correct answer: 3. Replacement of one type of adult cell by another type of adult cell